'Rat hole' appearance of entry wound of firearm is seen in:
1. Close range of shotguns
2. Near range of shotguns
3. Close range of rifles
4. Near range of rifles

Correct answer: 2. Near range of shotguns

Explanation: Ans. Near range of shotguns